Functional unit of muscle:
1. Sarcomere
2. Actin
3. Myosin
4. Troponin

Correct answer: 1. Sarcomere

Explanation: Functional unit of muscle is : sarcomere It is the part of myofibril present between two succsive z lines. Ref: Guyton and Hall textbook of medical physiology 12th edition, page number:86,87